In lichen planus the basal cells which are shrunken
with an eosinophilic cytoplasm and with a pyknotic and fragmented nuclei are called
1. Tzanck cells
2. Civatte bodies
3. Donovan bodies
4. Rushton bodies

Correct answer: 2. Civatte bodies

Explanation: Colloid bodies , also known as civatte bodies or hyaline bodies or fibrillar bodies are often present in spinous and basal layers. They appear as round eosinophilic globules representing degenerated epithelial cells.
Because of degeneration of basal keratinocytes, the epithelial-connective tissue interface is weakened resulting in histologic clefts known as Max-Joseph spaces.